Bipolar II disorder includes
1. Cyclothymic disorder
2. Dysthemia
3. Single manic episode
4. Major depression & hypomania

Correct answer: 4. Major depression & hypomania

Explanation: D i.e. Major depression & hypomania